A 24 year male came with history of intensive itchy papules over elbows. He was diagnosed with coeliac disease 2 years back. Histopathology shows papillary tip microabscesses. Which of the following drug will you recommend for the treatment?
1. Acitretin
2. Cyclosporine
3. Dapsone
4. Rituximab

Correct answer: 3. Dapsone

Explanation: Intense pruritic lesions over extensor surface, accumulation of neutrophilis in the dermal papilla and association of coeliac disease is suggestive of Dermatitis herpetiformis and Dapsone is the drug of choice for the same.